Which is true regarding Savage syndrome?
1. Receptor defect to gonadotrophic hormones
2. Short stature
3. Ovaries do not contain follicles
4. FSH is normal

Correct answer: 1. Receptor defect to gonadotrophic hormones

Explanation: In Savage syndrome, there is receptor defect to gonadotrophic hormones. The clinical features resemble autoimmune disease. Height is normal. The ovaries contain follicles. FSH is raised. Ref: Shaw's Textbook of Gynaecology, 18th edition, p286